Nerve supply of Tibialis anterior is:
1. Tibial nerve
2. Deep peroneal nerve
3. Femoral nerve
4. Sural nerve

Correct answer: 2. Deep peroneal nerve

Explanation: Ans. B. Deep peroneal nerveAll the muscles of the anterior compartment of leg are supplied by Deep peroneal nerve. The muscles of the anterior compartment of leg are Tibialis anterior, Extensor digitorum longus, Extensor hallucis longus & peroneus tertius.